Continuous scrutiny of health related factors is called ?
1. Isolation
2. Surveillancec
3. Monitoring
4. Quarntine

Correct answer: 2. Surveillancec

Explanation: Ans. is 'b' i.e., Surveillance Monitoring Monitoring is the performance and analysis of routine measurements aimed at detecting changes in the environment or health status of population, e.g. monitoring of air pollution, water quality, and growth & nutritional status. Surveillance Surveillance is the continuous scrutiny of the factors that determine the occurrence and distribution of disease and other conditions of ill health. In simple words "surveillance is systemic ongoing collection, collation and analysis of data and the timely dissemination of information to those who need to know so that action can be taken". According to above definition, monitoring becomes one specific and essential part of the broader concept embraced by surveillance. Following example will help to differentiate these two ? In tobacco control - Surveillance includes collection of data about prevalence of tobacco use, its health and enconomic consequences, its socio-cultural determinats and tobacco control policy responses and tobacco industry activities. By collecting all these information effective tobacco control interventions can be taken. Monitoring will continously oversight the activities of this tobacco control interventions, to ensure that they are proceeding according to plan. It keeps track of achievement, resources supply and utilization, staff movement, etc, so that if anything goes wrong, immediate corrective measure can be taken. So, In surveillance, data is collected & collated, and this information is used to know what action to be taken - making a plan of action. Monitoring than keep a watch that this plan of action is working properly It is a part of continued surveillance. "Surveillance is a systemic method for continuous monitoring of disease in a population, in order to be able to detect changes in disease patterns and then to control them". Epidemiology glossary